Thermogenin is present in
1. Cytoplasm
2. Mitochondria
3. Ribisome
4. Nucleus

Correct answer: 2. Mitochondria

Explanation: Thermogenin, a protein present in the inner mitochondrial membrane of adipocytes, provides an alternate pathway for protons. It is one of the uncoupling proteins (UCP).Ref: DM Vasudevan Textbook of Medical Biochemistry, 6th edition, page no: 234